Artificial rupture of membrane is contraindicated in :
1. Heart disease
2. Diabetes
3. Pregnancy induced hypertension
4. Intrauterine death

Correct answer: 4. Intrauterine death

Explanation: Intrauterine death